In which of the following conditions ovaries function normally
1. Turner s syndrome
2. Mayer rokitansky kuster hauser
3. Androgen insensitivity syndrome
4. Sweyer's syndrome

Correct answer: 2. Mayer rokitansky kuster hauser

Explanation: Turners syndrome has streak ovaries AIS is a genotypic male 46 XY with testes and a female phenotype (insensitivity to androgens produced by testes) Swyers syndrome is a 46 XY female where the testes are non-functional and hence a default female form is made MRKH is a woman with normal ovaries but no Uterus.